A 6 months old infant with Hb of 6 gm% has peripheral blood showing target cells & increased reticulocytes. Family history of similar complaints is Positive. Diagnosis can be best done with which of the following?
1. Hb electrophoresis
2. ELISA
3. Coomb's Test
4. Osmotic fragility

Correct answer: 1. Hb electrophoresis

Explanation: * Presence of - Anemia (Hb < 6%), Target cells, Increased reticulocytes with a positive family history - suggest the diagnosis of thalassemia * Out of investigations given in question, Hb electrophoresis helps the most in diagnosing Thalassemia. BETA-THALASSEMIA: - DEFECT-Decreased production of Beta globin chains. - COMMON MUTATIONS IN INDIA: IVS 1-5 G - C IVS 1-1 G - T Codon 41/42 Codon 819 619 by deletion - CLASSIFICATION: Thalassemia trait: - Heterozygous state - Mild Anemia (HbA2>= 3.5%) Thalassemia intermediate (b0/b+): - Moderate anaemia, Hepatosplenomegaly ,HbF elevated Thalassemia major (b0/b0): - Homozygous, severe anaemia, Hepatosplenomegaly ,HbF markedly elevated, require regular transfusions